FRANKLE-IV used for
1. Class-I malocclusion
2. Class-II malocclusion
3. Class-III malocclusion
4. Bimaxillary protrusion

Correct answer: 4. Bimaxillary protrusion